Dystrophic calcification is seen in -
1. Milk alkali syndrome
2. Atheromatous plaque
3. Hyperparathyroidism
4. Vitamin A intoxication

Correct answer: 2. Atheromatous plaque

Explanation: Dystrophic calcification is seen in dead and degenerated tissue. Calcification in degenerated tissue: atheroma in the aorta and coronaries. Metastatic calcification occurs in normal tissues due to hypercalcimia. E.g. hyper vitaminosis D , hyper parathyroidism, Milk alkali syndrome. .ref Robbins 9/e p14